Therapeutic level of phenytoin is
1. 0-9 mg/ml
2. 10-19 mg/ml
3. 20-29 mg/ml
4. 30-39 mg/ml

Correct answer: 2. 10-19 mg/ml

Explanation: Phenytoin therapeutic plasma concentration is 10-20 mg/ml. Ref: K D Tripati 7th edition Page no 422. Table 30.2